Pericardial space is present between
1. Parietal and visceral pericardium
2. Endocardium and pericardium
3. Epicardium and pericardium
4. Endocardium and epicardium

Correct answer: 1. Parietal and visceral pericardium

Explanation: Pericardial space (pericardial cavity) lies between parietal serous pericardium and visceral serous pericardium.